IVP is contraindicated in –
1. Multiple myeloma
2. Kidney stones
3. Renal cyst
4. Transplanted kidney

Correct answer: 1. Multiple myeloma

Explanation: Multiple myeloma is a relative contraindication for IVP.